All statements are true regarding skin except – a) Skin is stratified squamous epithelium b) Melanocyte & merkel cells are immigrant cellsc) Keratin filaments are a hallmark of epidermal cellsd) Keratinization process cause hydration of cellse) Spines of spinous cells are formed from house keeping organelle
1. de
2. bc
3. cd
4. bd

Correct answer: 1. de

Explanation: Following events occur during keratinization


Increase in cell size
Flattening of cells
Appearance of new cellular organelles, e.g. lamellar granules in stratum spinosum, keratohyaline granules and oadland bodies in stratum granulosum.
Metabolism changes from generalized to more focused with the synthesis of molecules (structural proteins and lipids) related to keratinization.
Progressive dehydration (not hydration).
Progressive shortening and final disappearance of the nucleus.
Changes in enzymes with degradation of cellular organelles and chromatin fragmentation → apoptosis in stratum corneum.
Finally, dead cells to break apart and slough away, a process is known as desquamation.